Life span of cut380a -
1. 10yrs
2. 20yrs
3. Iyrs
4. None

Correct answer: 1. 10yrs

Explanation: Ans. is 'a' i.e., 10 years "The Cu-T 380A is approved for use for 10 years. However, the Cu-T 380A has been demonstrated to maintain its efficacy over at least 12 years of use -- ParkIntra-uterine deviceso An intrauterine device is a long acting reversible contraceptive birth control device placed in the uterus,o There are two basic types of IUD -ISon-medicated and medicated.o According to evolution, lUDs can be categorizedIUDsLifespanFirst generation :Lippe's loop (obsolete)-Second generationCopper-T-CuT-200-B4yrCuT-2003yrCuT-220C-Nova-T5yrMultiload - 2503753 yr5yrCuT-3 80A10yrThird generation Progestasert1yrLNG-20 (Mirena)5 yr (Ref: Novak p263: Note that Park mention: the life span of mirena to he 10 yrs)o So it is the CuT-3 80A which has the longest life spano In India under the National Family Welfare Programmes, CuT-200B is being used. From the year 2002, CuT380A has been introduced.